OCPs are contraindicated in all except:
1. Smoking 35 years
2. Coronary occlusion
3. Polycystic ovarian disease
4. Cerebrovascular disease

Correct answer: 3. Polycystic ovarian disease

Explanation: Ans. is c, i.e. Polycystic ovarian diseaseContraindications of OCPs:Absolute contraindications include:Mnemonic* BanksKnown or suspected Breast cancer* HaveSevere Hypertriglyceridemia/Hypercholesteremia* Various(Undiagnosed Abnormal) Vaginal bleeding* SchemesSmokers over the age of 35 years* ToThrombophelebitis/Thromboembolic disorders, (present H/O, past H/O, family H/O) Cerebral and Cardiac disease* ProvidePregnancy* HomeHypertension (Moderate to severe)* LoansMarkedly Impaired Liver function/infective hepatitis* DuringDiabetes mellitus with vascular disease* MayMigraine disease with auraEpilepsy is a relative CI for the use of OCP's